Structure superficial to mylohyoid in anterior digastric triangle is/are
1. Deep part of submandibular gland
2. Hypoglossal nerve
3. Part of parotid gland
4. Mylohyoid artery and nerve

Correct answer: 4. Mylohyoid artery and nerve

Explanation: Structures passing superficial to mylohyoid: Submandibular gland (superficial part) Mylohyoid nerve and vessels Submental branch of facial vein & artery Submandibular lymph nodes.